Early invading bacteria in carious lesions are called
1. Microcosm
2. Pioneer bacteria
3. Advancing bacteria
4. Anaerobic bacteria

Correct answer: 2. Pioneer bacteria